In fatty acid synthesis CO2 loss occurs in which step
1. Hydration
2. Dehydration
3. Condensation reaction
4. Reduction

Correct answer: 3. Condensation reaction

Explanation: C i.e. Condensation reaction